All are features of hyper-parathyroidism EXCEPT:
1. Increase serum calcium
2. Decreased serum phosphate
3. Diarrhea
4. Nephrocalcinosis

Correct answer: 3. Diarrhea

Explanation: Ans. (c) DiarrheaRef.: Harrison 19th ed. / 2342* Hyperparathyroidism leads to increase PTH. PTH increases serum calcium by increasing dietary absorption of vitamin D3. It also ensures that the proximal convoluted tubule start loosing phosphate in urine leading to decreased serum phosphate.* The increase serum calcium leads to deposition in kidney parenchyma forming calcium phosphate stones. The increased level of calcium also leads to constipation. Therefore abdominal pain are a feature of hyperparathyroidism. Renal Colic is due to stones and severe constipation. Diarrhea is not seen with hypercalcemia/ hyperparathyroidism.